After administration of i.v.quinine, the patient develops restlessness and sweating, what is the reason for this
1. Hyperglycemia
2. Hypoglycemia
3. Arrhythmias
4. Cinchonism

Correct answer: 2. Hypoglycemia

Explanation: Hypoglycemia is the reason for restlessness and sweating